A 1-month old baby present with frequent vomiting and failure to thrive. There are features of moderate dehydration. Blood sodium in 122 mEq/l and potassium is 6.1 mEq/l. The most likely diagnosis is?
1. Gitelman syndrome
2. Bartter syndrome
3. 21-hydroxylase deficiency
4. 11-13 hydroxylase deficiency

Correct answer: 3. 21-hydroxylase deficiency

Explanation: Ans. is 'c' i.e., 21 hydroxylase deficiency Blood parameters indicate Hyponatremia and Hyperkalemia in this patient. All conditions other than 21 hydroxylase deficiency present with Hypokalemia.